Stimulating mechanoreceptors or nociceptors in mouth triggers the
1. Jaw opening reflex
2. Jaw clenching reflex
3. Jaw gnashing reflex
4. None of the above

Correct answer: 1. Jaw opening reflex